Common injury to baby is -
1. Fracture humerus
2. Fracture clavicle
3. Fracture scapula
4. Fracture femur

Correct answer: 2. Fracture clavicle

Explanation: The most common bone to be fractured in children and during birth is clavicle.